Pain sensations from the ethmoidal sinus are carried by-
1. Frontal Nerve
2. Lacrimal Nerve
3. Nasocilliary Nerve
4. Infra orbital Nerve

Correct answer: 3. Nasocilliary Nerve

Explanation: As discussed in preceeding text, nasociliary nerve–branch of opthalmic division of trigeminal nerve carries pain sensation from ethmoid sinus.